Most common gene involved in Noonan syndrome
1. PTCN 11
2. PTPN 11
3. PTPN 22
4. PTCN 22

Correct answer: 2. PTPN 11

Explanation: NOONAN SYNDROME: - Autosomal dominant, Normal karyotype - MC gene involved --> PTPN 11 - Seen in both boys & girls --> FEILE - FEATURES: Short stature webbed neck Anti-mongoloid slant eyes (Opposite of Down syndrome) Cubitus valgus Clinodactyly, Cryptorchidism cardiac anomalies: Supra valvular Pulmonary Stenosis -->, HOCM, ASD Presence of Intellectual disability